Pepsin is an example for which class of enzymes?
1. Oxido reductase
2. Lyases
3. Hydrolases
4. Ligases

Correct answer: 3. Hydrolases

Explanation: Pepsin and most of the other digestive enzymes belong to IUBMB Enzyme class IV (Hydrolases)
Refer the byte "IUBMB Classification of Enzymes"